Detection of proteins by the following methods does not affect its function
1. Detecting with Coomassie blue dye after electrophoresis by SDS-PAGE
2. Detecting with heat coagulation
3. Detecting with 2-D electrophoresis
4. Detecting with UV light at 280 nm

Correct answer: 4. Detecting with UV light at 280 nm

Explanation: Option analysis: * Sodium dodecyl sulfate is a protein denaturing agent - option a is excluded Heat coagulation result in loss of higher level of structures other than primary structure - option b is excluded 2-D electrophoresis is SDS-PAGE in one dimension and isoelectric focusing in other dimension - option c is excluded Hence the answer is UV light. In this, protein solution is exposed to UV light and amino acids in protein absorb UV light which can be measured using a spectrophotometer. This technique does not affect the structure of proteins hence does not affect its function.